The drug of choice in obsessive compulsive disorder is which one of the following:
1. Sertraline
2. Amoxapine
3. Hydroxyzine
4. Alprazolam

Correct answer: 1. Sertraline